Not a method of learning:
1. Propaganda
2. Writing
3. Group discussion
4. None of the above

Correct answer: 1. Propaganda

Explanation: Propaganda